Acromegaly is a disorder of:
1. Excess growth hormone secretion during adulthood
2. Excess thyroxine secretion
3. Excess ACTH secretion
4. Excess FSH secretion

Correct answer: 1. Excess growth hormone secretion during adulthood